The contraction of gold alloys on solidifying is
approximately:
1. 0.40%
2. 1.40%
3. 2.40%
4. 3.40%

Correct answer: 2. 1.40%

Explanation: All alloys shrink when they change from liquid to solid. The casting shrinkage in gold alloys is less (1.25 to 1.65%) when compared to base metal alloys.
Mannapalli 3 ed page no 276